A 23-year-old student is brought to the hospital with history of gradual onset of suspiciousness, muttering and smiling without clear reason, decreased socialization, violent outbursts and lack of interest in studies for 8 months. Mental status examination revealed a blunt effect, thought broadcast, a relatively preserved cognition, impaired judgment and insight. He is likely to be suffering from:
1. Delusional disorder
2. Depression
3. Schizophrenia
4. Anxiety disorder

Correct answer: 3. Schizophrenia

Explanation: Ans. Schizophrenia